Attenuation value (Hounsfield unit) of -1000 represents which of the following?
1. Air
2. Muscle
3. Bone
4. Blood

Correct answer: 1. Air

Explanation: The HU for common substance: SUBSTANCE HU Air -1000 Fat -120 (Range -50 to -120) Water 0 Blood +30 to +45 Muscle +40 Contrast +130 Bone +400 Reference: Essential Radiology By S.Bhadury, 2nd Edition, Page 23